Class III antiarrhythmic drug among the following is:
1. vernakalant
2. Phenytoin
3. Propafenone
4. Pindolol

Correct answer: 1. vernakalant

Explanation: Phenytoin is class IB, propafenone is class IC, pindolol is class II. class 3 - Amiodarone Sotalol Ibutilide Dofetilide Dronedarone Vernakalant REF.Essentials of Medical Pharmacology KD Tripathi 8th ed.